An adolescent female has headache which is intermittent in episode in associated with tinnitus, vertigo and hearing loss. There is history of similar complains in her mother. Most likely diagnosis
1. Basilar migraine
2. Cervical spondylosis
3. Temporal arteritis
4. Vestibular neuronitis

Correct answer: 1. Basilar migraine

Explanation: basilar migraine is a rare type of migraine that begins in the brain stem. A basilar migraine may be caused by a constriction of blood vessels that limit blood flow to the brain. Other conditions that restrict blood flow, such as tortuous blood vessels, may also cause basilar migraines Ref Harrison20th edition pg 2567